Type IV Hypersensitivity -
1. Farmer's lung
2. Contact hypersensitivity
3. Immediate hypersensitivity
4. Myasthenia gravis

Correct answer: 2. Contact hypersensitivity

Explanation: . *contact dermatitis is a common example of tissue injury resulting from delayed type hypersensitivity reaction. It may evoked by contact with chemicals that bind to and structurally modifies some cell proteins and peptides derived from these modified proteins are recognised by T cells and elicit the reaction.Robbins and Cotran pathologic basis of disease South Asia edition